Losartan is similar to enalapril in all of the following features except:
1. Anti–hypertensive efficacy
2. Potential to reverse left ventricular hypertrophy
3. Lack of effect on carbohydrate tolerance
4. Potential to induce cough in susceptible individuals

Correct answer: 4. Potential to induce cough in susceptible individuals